Postural orthostatic tachycardia syndrome is characterised by all except?
1. Women affected more commonly than men
2. Heart rate > 120/minute
3. Increase in heart rate > 30/minute when standing
4. Usually presents with orthostatic hypotension

Correct answer: 4. Usually presents with orthostatic hypotension

Explanation: Postural orthostatic tachycardia syndrome (POTS) is characterised by symptomatic orthostatic intolerance without orthostatic hypotension that is associated with either heart rate of more than 120/minute or increase of >30/minute when standing that subside on sitting / lying down. The symptoms of orthostatic intolerance include lightheadedness, blurred vision, palpitation and nausea. Usually affects women more than men. This syndrome develops between 15 and 50 years of age. Reference: Harrison's Principles of Internal Medicine, 20th edition, p3164